Enteroviruses are associated with all of the following, EXCEPT:
1. Aseptic Meningitis
2. Pleurodynia
3. Herpangina
4. Hemorrhagic fever

Correct answer: 4. Hemorrhagic fever

Explanation: Acute hemorrhagic fever is not caused by the enteroviruses. It usually causes non specific febrile illness, hand foot mouth disease, Herpangina, coryza, conjunctivitis, pericarditis, myocarditis, gastrointestinal symptoms and neurological symptoms. Ref: Kliegman, Behrman, Jenson, Stanton (2008), "Nelson Textbook of Pediatrics", Chapter 247, "Nonpolio Enteroviruses", Volume 1, Page 1350; Medical Microbiology By Jawetz , 24th Edition, Page 494; Harrison's Principle of Internal Medicine, 17th Edition, Page 1208